Which of the following symptoms suggests CHF in failure
1. Diaphoresis with feedings
2. Fever
3. Cyanosis
4. Persistant irritability

Correct answer: 1. Diaphoresis with feedings

Explanation: Parent complaining of an infant with CHD that child has difficulty with feeds. This is a feature of an infant with congestive heart failure resulting from CHD Ref : page no 405 ghai essential pediatrics eighth edition